Chicken pox vaccine is -
1. Live vaccine
2. Killed vaccine
3. Conjugated vaccine
4. None of the above

Correct answer: 1. Live vaccine

Explanation: Prevention of chickenpox

For prevention of chickenpox, following are used-

i)    Varicella zoster immunoglobulin (VZIG)

VZIG is given within 72 hours of exposure in exposed susceptible individuals.
It is given intramuscularly with a repeat dose in 3 weeks.
Because VZIG bind to the varicella vaccine, the two should not be given concomitantly.

ii) Vaccine

Varicella vaccine is a live attenuated vaccine and is recommended for children between 12-18 months of age.
Efficacy of vaccine is 90 - 95% and the duration of immunity is probably 10 years.
Two doses are recommended in person older than 12 years of age.